Which is not true about macrophages:
1. Activation by IFN-y
2. Major cells in chronic inflammation
3. M2 type involved in inflammation
4. Phagocytic cells

Correct answer: 3. M2 type involved in inflammation

Explanation: Ans. c. M2 type involved in inflammation